Which of the following is/are true of blunt renal trauma?
1. Blunt renal trauma and penetrating renal injuries are managed similarly
2. Blunt renal trauma must be evaluated by contrast studies using either IVP or CT
3. Blunt renal trauma requires exploration only when the patient exhibits hemodynamic instability
4. Any kidney fractured by blunt renal trauma must be explored

Correct answer: 3. Blunt renal trauma requires exploration only when the patient exhibits hemodynamic instability

Explanation: Renal trauma general management - Only those who have gross hematuria need undergo contrast studies. Microscopic hematuria is no longer an indication for contrast evaluation. Patients who have blunt renal trauma need to undergo exploration only if they are hemodynamically unstable. Conservative management in the absence of hemodynamic instability is the current trend. All penetrating injuries should undergo exploration.